The preferred public health approach to control non-communicable disease is -
1. Shift the population based approach
2. Focus on high risk individuals for reduction of risk
3. Early diagnosis and treatment of identified cases
4. Individual disease based vertical programmes

Correct answer: 1. Shift the population based approach

Explanation: It is integrated approach .It differs from country to country and year to year . Because it may involve socioeconomic risk factors, metabolic, nutritional and lifestyle. So it may be shifted through population based data. Ref-Park's textbook of Preventive and Social Medicine 24th edition.